Which is not seen in inflammatory stage of wound healing?
1. Angiogenesis
2. Chemotaxis
3. Increased capillary permeability
4. Cytokine and chemotactic factor release

Correct answer: 1. Angiogenesis

Explanation: wound healing can be staged into 3 or 4 phases namely phase 1 - Hemostasis phase phase 2 - inflammatory phase phase 3 -proliferative phase phase 4 - maturation phase Hemostasis phase rapid activation of coagulation pathways, clot formation by activation and aggregation of platelet Inflammatory phase phase focus on destroying bacteria and removing debris cytokines and chemotactic factors released within 24 hour neutrophil migrate to the site (chemotaxis) neutrophil release proteolytic enzymes that begin to clear the debris. Increased capillary permeability resulting in edema Proliferative phase granulation tissue fills the wound new blood vessels are formed (angiogenesis) wound margins contract wound is covered with epithelium maturation phase new tissue slowly gain strength, with an overall increase in tensile strength neovascularization occurs in this phase ref robbins pathology 9th ed page 106